Pseudostratified columnar epithelium is present in:
1. Esophagus
2. Vas deferens
3. Cornea
4. Thyroid

Correct answer: 2. Vas deferens

Explanation: Columnar epitheliumCiliated pseudostratified columnar epithelia are found in the lines of the trachea as well as the upper respiratory tract.Non-ciliated pseudostratified columnar epithelia are located in the membranous part of male vas deferens.Pseudostratified columnar epithelia with stereocilia are located in the epididymis.